True about facilitated diffusion-
1. Active
2. Requires carrier
3. Requires ATP
4. Against concentration gradient

Correct answer: 2. Requires carrier

Explanation: Ans. is 'b' i.e., Requires carrier Types of transport across cell membrane Carrier protein involvedEnergy requiredConcentration gradientSimple diffusionNoNoAlong (Down hill)Osmosis (Diffusion of H2O)NoNoAlong (Down hill)Facilitated diffusionYesNoAlong (Down hill)Active transportYesYesAgainst (Uphill)ExocytosisNoYesN/A (not applicable)Endocytosis # Pinocytosis & PhagocytosisNoYesN/A# Receptor mediated endocytosisYesYesN/A